Hypocalcemia is characterized by all except.
1. Numbness and tingling of circumoral region.
2. Hyperactive tendon reflexes and positive Chvostek's sign.
3. Shortening of Q-T interval in ECG.
4. Carpopedal spasm

Correct answer: 3. Shortening of Q-T interval in ECG.

Explanation: Ans. is 'c' i.e. shortening of QT interval in ECG Hypocalcemia increases excitation of muscles and nerves primarily affecting the neuromuscular and cardiovascular systemHypocalcemia causes following symptomsExtensive spasm of skeletal muscle causes cramps and tetany. Carpopedal spasm occursHyper active tendon reflexLaryngospasm with stridorProlongation of QT intervalIncreased intracranial pressure occurs in some patients with long standing hypocalcemia Papilledema is usually associated with these casesNumbness and tingling of the circumoral region and the tips of fingers and toes. Following signs can be elicited during hypocalcemia -Chvostek's sign - Contraction of facial muscles in response to tapping the facial nerve anterior to the nerveTrousseau sign - Carpal spasm occurring after occlusion of brachial artery with a blood pressure cutoff for 3 minutes.Erb's sign - Muscle contraction can be produced by application of sub threshold electrical stimulation.Peroneal sign - Tapping over the peroneal nerve at the neck of fibula will produce planter flexion & adduction of the foot i.e. (Pedal spasm)